Hypogammaglobinemia causes?
1. Chronic recurrent sinusitis
2. Epistaxis
3. Contractures
4. Eczema

Correct answer: 1. Chronic recurrent sinusitis

Explanation: Ans. (a) Chronic recurrent sinusitisRef.: Harrison 18thedch-316